Anti-CD 25 monoclonal antibody used in prophylaxis of acute organ rejection in adult patients is
1. Basilizimab
2. Muromonab
3. Efalizumab
4. Eculizumab

Correct answer: 1. Basilizimab

Explanation: Ref. KDT. Page. 871-72
Basiliximab exhibits high affinity towards IL-2 receptor, inhibiting it.

Anti- CD-25 antibody
High affinity for IL-2 receptor
Short plasma half life - 1 week
Useful in preventing transplant rejection reactions.
Adverse effects - Anaphylactic reactions & opportunistic infections.

 

Muromonab - CD3 is an immunosuppressant drug given to reduce acute rejection in patients with organ transplant
Efalizumab - It is a monoclonal antibody that binds to CD11a, a cellsurface protein that has a key role in the pathological immune response in the skin disorder psoriasis.
Eculizumab – used in treatment of PNH